Parasympathetic ganglion in head are
1. Three pairs
2. Four pairs
3. Five pairs
4. Two pairs

Correct answer: 2. Four pairs